Disinfection of water is not required if the source is from-
1. Tube well
2. Step well
3. Draw well
4. River

Correct answer: 1. Tube well

Explanation: Ans. is 'a' i.e., Tube well